Which vitamin deficiency is responsible for neonatal seizure –
1. Pyridoxine
2. Vitamin C
3. Thiamine
4. Cobalamin

Correct answer: 1. Pyridoxine

Explanation: Pyridoxine (Vitamin B6) dependency with seizures is an autosomal recessive condition.
It is due to GABA deficiency in the brain, which is presumbly caused by decreased activity of GAD (glutamic acid decarboxylase).
Administration of large doses of pyridoxin usually results in a dramatic improvement of both seizures and EEG abnormalities, as pyridoxin acts as a cofactor for GAD and improves its activity.